Lens subluxation occurs in all except:
1. Homocystinuria
2. Ehlers-Danlos syndrome
3. Congenital syphilis
4. Congenital rubella

Correct answer: 4. Congenital rubella

Explanation: Ans. Congenital rubella